External cephalic version is contraindicated in all except:
1. Breech
2. Twins
3. Placenta previa
4. Previous

Correct answer: 1. Breech

Explanation: Breech